Drug that interfere with utilization and action of vitamin B6 (Pyridoxine) include the following, except?
1. Hydralazine
2. Griseofulvin
3. Cycloserine
4. Penicillamine

Correct answer: 2. Griseofulvin

Explanation: Ans is 'b' i.e., Griseofulvin o Pyridoxin (Vitamin B6) deficiency may be caused by alcohol, OCPs, cycloserine, INH, Penicillamine, hydralazine, and isonicotinic acid hydrazide.